Ceruminous glands are modified-
1. Eccrine glands
2. Apocrine glands
3. Sebaceous glands
4. None of the above

Correct answer: 2. Apocrine glands

Explanation: Ans. is 'b' i.e., Apocrine glands Cartilagenous part of external auditory meatuso Skin covering it is thick and has ceruminous glands (modified apocrine sweat glands), pilosebaceous glands and hair. Since hair is confined to cartilaginous part, furuncles are seen only in the outer third of the canal.